Most common site involved in genital TB -
1. Fallopian tubes
2. Endometrium
3. Ovaries
4. Vulvo - vaginal part

Correct answer: 1. Fallopian tubes

Explanation: Ans. is 'a' i.e., Fallopian tubes Genital tuberculosiso Almost always a secondary infectiono Most common route of spread is hematogenous.o Most common site is bilateral fallopian tubes, (in fallopian tubes most common part affected is ampulla and most common pathology encountered is endosalpingitis).o Most common in 20 - 30 years age groupo Infertility is the most common symptom.Site of genital tuberculosis% involvementFallopian Tubes90-100Uterus50-60Ovaries20-30Vagina/ vulva1-2